The police brought a person from railway platform. He was talking irrelevant, had dry mouth with hot dry skin, dilated pupils, staggering gait and slurred speech. Most probable diagnosis is:
1. Alcoholic intoxication
2. Dhatura poisoning
3. OPC poisoning
4. Aconite poisoning

Correct answer: 2. Dhatura poisoning

Explanation: Ans. Dhatura poisoning